In starvation:
1. All the organs of the body are shrunken except brain
2. The small intestine is thin, papery transparent
3. Gall bladder is distended
4. All of the above

Correct answer: 4. All of the above

Explanation: (All of the above): Ref: 3.75-PSTARVATION: "Postmortem appearance"* General reduction in size and weight of all organs except the brain* The organs are frequently pale, and the heart, liver, kidney and spleen atrophied* Lungs are pale, small, and exude very little blood when cut* Small intestine may be so thin as to be almost transparent (Typical of death from starvation)* Gall bladder is full and distended due to accumulation of bile from lack of stimulation, Gall stones may be present.* Skeletal shows spinal curvature, rickets and dental defects progressive osteomalacia is common, stress fractures* Rigor mortis comes on early and lasts a short time, decomposition sets in early.